Epidemiology of cholera in England was classified by-
1. John Snow
2. Winslow
3. Chadwick
4. Howard huger

Correct answer: 1. John Snow

Explanation: Ans. is 'a' i.e., John snow John snow, an English epidemiologist, studied the epidemiology of cholera and estabilished the role of drinking water in the spread of cholera.